The drugs that form complexes with pyridoxal are:
1. Isoniazid
2. Penicillamine
3. Rifampicin
4. Both A. and B.

Correct answer: 4. Both A. and B.

Explanation: Ans. D. Both (A) and (B)Isoniazid (anti-tuberculosis drug) and penicillamine (used to treat rheumatoid arthritis and cystinuria) are two drugs that complex with pyridoxal and pyridoxal phosphate resulting in a deficiency in this vitamin.